Wormian bones are seen in all except -
1. Fibrous dysplasia
2. Osteogenesis inperfecta
3. Cretinism
4. Rickets

Correct answer: 1. Fibrous dysplasia

Explanation: Ans. is 'a' i.e.. Fibrous dysplasia Wormian boneso Wormian bones are extra bone pieces that occur within a suture in the cranium.o These are irregular isolated bones which appear in addition to the usual centers of ossification of the cranium,o They occur most frequently in the course of the lambdoid suture,o Causes of wormian bones (Mnemonic - PORKCHOPS)PyknodysostosisOsteogenesis imperfectaRicketsKinky hair syndromeCleidocranial dysostosisHypothyroidism (cretinism) f HypophosphatasiaOtopalatodigital syndromeProgeriaSyndrome of Downso Wormian bone appears radiographically as islands of ossification in the skull in nonossified membranous bone.o To be diagnostic value, the wormian bones should be 4 mm by 6 mm in size, 10 in number and arranged in a mosaic pattern.o Wormian bones are not present in normal skull.